Basement membrane degeneration is mediated by
1. Metalloproteinascs
2. Oxidases
3. Elastases
4. Hydrolases

Correct answer: 1. Metalloproteinascs

Explanation: Ans. (a) Metalloproteinascs(Ref: Robbins 9th/pg 105)The degradation of collagens and other ECM components is accomplished by a family of zinc dependent matrix metalloproteinases (MMPs) QMMPsFunctions*. Interstitial collagenasesCleave fibrillar collagen (MMP-1, -2 and -3)*. Gelatinases*. (MMP-2 and 9)Degrade amorphous collagen and fibronectin;*. Stromelysins*. (MMP-3, -10, and -11)Degrade a variety of ECM constituents,including proteoglycans, laminin, fibronectin, and amorphous collagenPLEASE remember ECM is composed ofInterstitial matrixBasement membrane- composed of collage type IV.